All of the following are true for a screeing test except?
1. Less accurate
2. Forms the basis for treatment
3. Test results are arbitrary
4. Less expensive

Correct answer: 2. Forms the basis for treatment

Explanation: Ans. is 'b' i.e., Forms the basis for treatment o Screening tests do not form the basis for treatment as a specific diagnostic test will need to be performed to confirm the diagnosis suggested by a screening test in order to start a specific treatment. o For example, In HIV infection screening is done by ELISA. If the ELISA comes to be positive, western blot is done to confirm the diagnosis before starting treatment.